A women delivered a baby of 2.2 kg weight. Her LMP is not known. To know the maturity of baby, following are used -
1. Sole Crease
2. Ear Cartilage
3. Breast nodule
4. All

Correct answer: 4. All

Explanation: Ans. is 'a' i.e., Sole creases; 'b' i.e., Ear Cartilage; 'c' i.e., Breast nodules